Regarding Neuroligins, false statement is:
1. Hold the presynaptic and postsynaptic membranes together
2. Help in neurotransmitter release
3. Responsible for synaptic specificity & functions
4. Mutation of these genes causes autisim spectrum disorder

Correct answer: 2. Help in neurotransmitter release

Explanation: "Neurexins" is a presynaptic cell adhesion molecule which binds with postsynaptic molecule "Neuroligins" Interaction between them holds the synapse together and also provide synaptic specificity. They are responsible for synaptic function but not for formation of synapse. These have no role in neurotransmitter release. Mutations in the genes encoding these causes autisim spectrum disorder (ASD), Tourette syndrome, intellectual disability, and schizophrenia.